Which of the following organs can't utilise ketone bodies
1. Muscle
2. Heart
3. Brain
4. Liver

Correct answer: 4. Liver

Explanation: Liver and RBC can't utilise ketone bodies.
Though ketone bodies are produced from liver during starvation, it can't utilise ketone bodies for itself.